A reliable indicator of pubertal growth spurt on hand
wrist films is sought as:
1. Ossification of adductor sessamoid
2. Appearance of hook of hamate
3. Ossification of all the carpal bones
4. Ossification of pisiform

Correct answer: 1. Ossification of adductor sessamoid